The origin of thyroglossal duct is
1. Foramen caecum
2. Tuberculum impar
3. Rathke's pouch
4. Rosenmuller's fossa

Correct answer: 1. Foramen caecum